Subepithelial deposits in kidney are seen in-
1. MPGN-1
2. GPS
3. PSGN
4. All

Correct answer: 3. PSGN

Explanation: Glomerular deposits : (i) Subepithelial: o Acute GN (like PSGN) o Membranous GN o Heyman GN o RPGN (ii) Sub endothelial : (iii) Basement membrane : (iv) Mesangium : MPGN (Type- I) SLE o Acute ON (H' 1583) o MPGN (Type II) o Good pasture syndrome o IgA nephropathy, HSP REF: ROBBINS pathology 10th edition